Which of the following is true regarding cretinism?
1. No shortening of trunk or limbs
2. Proportionate shortening
3. Short limbs and short stature
4. Short limbs and tall stature

Correct answer: 3. Short limbs and short stature

Explanation: - Cretinism/ Congenital Hypothyroidism causes disproportionate short stature with short limbs. - Most serious consequences of iodine deficiency - Types: 1. Neurological type Deaf- mutism Squint Spasticity and rigidity- gait problems Intellectual disability 2. Myxedematous type Retarded psychomotor development Coarse facial features Myxedema Short stature